Which of the following drugs is effective in the  treatment of acute asthmatic attack ?
1. Zafirlukast
2. Nedocromil
3. Prednisolone
4. Albuterol

Correct answer: 4. Albuterol